Le Facies Sympathique may be seen in?
1. Typical hanging
2. Postmortem suspension
3. Antemortem hanging
4. Strangulation

Correct answer: 3. Antemortem hanging

Explanation: Le Facies Sympathique is seen in antemortem hanging. If the ligature knot presses on cervical sympathetic, the eye on the same side may remain open and its pupil dilated. Also Know: In typical hanging, the ligature runs from the midline above the thyroid cartilage symmetrically upward on both sides of the neck to the occipital region. In partial hanging the bodies are partially suspended,the toes or feet touching the ground or are in a sitting, kneeling, lying down, prone or any other posture, with only head and chest of the ground. Ref: The Essentials of Forensic Medicine and Toxicology 29th Ed Page 302